Which of the following organisms does NOT react with gram's stain?
1. Actinomyces israeli
2. Candida albicans
3. Mycobacterium tuberculosis
4. Streptococcus mutans

Correct answer: 3. Mycobacterium tuberculosis